At the time of birth which of the following ossification centers are seen:
1. Lower end of femur
2. Calcaneum
3. Upper end of tibia
4. All

Correct answer: 4. All

Explanation: A. i.e. Lower end of femur; B. i.e. Calcaneum; C. i.e. Upper end of tibia